22 year old male presents with bony mass in the metaphyseal region of right knee with typical sun ray appearance and CT Scan of the chest reveals osteoblastic metastases. What is the most probable diagnosis?
1. Osteosarcoma
2. Chondrosarcoma
3. Ewings sarcoma
4. Osteochondroma

Correct answer: 1. Osteosarcoma

Explanation: Ans. is 'a' i.e., Osteosarcoma* 22 year old male with bony mass in the metaphyseal region of right knee with typical sun ray appearance and CT Scan of the chest with osteoblastic metastases is most likely to be suffering from osteosarcoma.